Pudendal nerve block involves
1. Ll, L2, L3
2. L3, L4,L5
3. Sl, S2, S3
4. S2, S3, S4

Correct answer: 4. S2, S3, S4

Explanation: S2, S3, S4